Elek's gel precipitation test is done for:
1. Corynebacterium diphtheria
2. Salmonella choleraesuis
3. Clostridium botulinum
4. Diphtheroids

Correct answer: 1. Corynebacterium diphtheria

Explanation: Elek's gel precipitation test is done for Corynebacterium diphtheriae. Detection of C. diphtheriae: Elek's gel precipitation test - Double diffusion in two dimensions (Ouchterlony procedure), Detection of tox gene by PCR. Detection of diphtheria toxin by ELISA or immunochromatographic test (ICT). Cytotoxicity produced on cell lines.